X-linked recessive disease in male with clotting defect is
1. Hemophilia A
2. ITP
3. Von-Willebrand disease
4. None

Correct answer: 1. Hemophilia A

Explanation: harshmohan textbook of pathology 7th edition Hemophilia A is a hereditary coagulation disorder due to deficiency of reduced activity of factor viii and is a sex linked recessive trait and so manifests in males. ITP is characterised by immunologic destruction of platelets and normal or increased megakaryocytes in bone marrow Von willebrands disease is not an x linked condition as gene for vWF is located on chromosome 12